Glutamate as a neurotransmitter is synthesized mainly in which part of basal ganglia
1. Globus pallidus interna
2. Globus pallidus externa
3. Subthalamic nucleus
4. Putamen

Correct answer: 3. Subthalamic nucleus

Explanation: Connections in Basal ganglia

Substantia nigra pars compacta (SNPC) to Striatum (Caudate nucleus & Putamen)- Dopaminergic 
Striatum to Substantia nigra pars reticulata (SNPR)- GABA 
Striatum to Globus pallidus inner segment & external segment- GABA​
Globus pallidus external segment to subthalamic nucleus and internal segment- GABA​
Subthalamic nucleus to Globus pallidus external segment and internal segment.- Glutamate​
Within the striatum- Cholinergic interneurons.